Culture media of leptospirosis-
1. korthof
2. Perkin
3. Tinsdale
4. Bakers

Correct answer: 1. korthof